1st step in developing film is
1. Stirring the solution
2. Washing of film
3. Dip in developer
4. Dip in fixer

Correct answer: 1. Stirring the solution